Which is a specific antagonist of benzodiazepine :-
1. Zaleplon
2. Flumazenil
3. Naloxone
4. Zopiclone

Correct answer: 2. Flumazenil

Explanation: Flumazenil is a specific and exclusive benzodiazepine antagonist. It presents and reverses in a dose dependent names all the agonist effects of benzodiazepine. Flumazenil is the first benzodiazepine antagonist approved for clinical use to reverse the effects of benzodiazepines. It is a competitive antagonist at the benzodiazepine receptor and produces antagonism that is reversible. It is a benzodiazepine receptor ligand which has a high affinity and specificity. Flumazenil is used for both diagnostic and therapeutic reversal of benzodiazepine receptor agonists.